The function of a reservoir in a sprue is to avoid:
1. Localised shrinkage porosity
2. Microporosity
3. Generalised porosity
4. None of the above

Correct answer: 1. Localised shrinkage porosity